Dentinogenesis imperfecta differs from amelogenesis
imperfecta in that, the former is
1. A hereditary disturbance
2. The result of excessive fluoride ingestion
3. The result of faulty enamel matrix formation
4. Characterized by calcification of pulp chambers and the root canals of the teeth

Correct answer: 4. Characterized by calcification of pulp chambers and the root canals of the teeth